The tooth brushing method least likely to remove plaque in the gingival margin is the:
1. Sulcular method
2. Scrub method
3. Modified stillman
4. Roll stroke

Correct answer: 4. Roll stroke